Glucose transporters present in the β cells of the Islets of Langherhans is
1. GLUT 1
2. GLUT 2
3. GLUT 3
4. GLUT 4

Correct answer: 2. GLUT 2